False about alcohol in disinfection is?
1. Ethanol is used
2. Isopropyl alcohol is used
3. Has sporicidal activity
4. Has bactericidal activity

Correct answer: 3. Has sporicidal activity

Explanation: Ans. is 'c' i.e., Has sporicidal activity